The only water-soluble vitamin stored in the body
1. B1
2. B2
3. B6
4. B12

Correct answer: 4. B12

Explanation: Cobalamin is synthesized solely by microorganisms. Ruminants obtain cobalamin from the foregut, but the only source for humans is the food of animal origin, e.g., meat, fish, and dairy products. Body stores are of the order of 2-3 mg, sufficient for 3-4 years if supplies are completely cut off. Ref: Harrison's Principles of Internal Medicine; 19th edition; Chapter 128 Megaloblastic Anemias